All the following strains of proteus are used in Weil-Felix reaction Except
1. OX 2
2. OX 19
3. OX K
4. OX O

Correct answer: 4. OX O

Explanation: Alkali stable polysaccharide, a surface antigen is seen in some rickettsiae and some strains of Proteus bacilli. This is the basis for the Weil-Felix reaction used for the diagnosis of rickettsial infections by the demonstration of agglutinins to Proteus strains OX 19, OX 2, and OX K.Ref: Ananthanarayan; 7th edition; Page no: 413